Complications of acute sinusitis:
1. Orbital cellulitis
2. Pott's puffy tumor
3. Conjunctival chemosis
4. All

Correct answer: 4. All